Which of the following glycoprotein has both lubricant and protective action:
1. Mucin
2. Immunoglobulin
3. Collagen
4. Albumin

Correct answer: 1. Mucin

Explanation: Ans. (A) Mucin(Ref: Harpers Illustrated Biochemistry 31st Ed; Page No- 547)Glycoprotein and their FunctionsGlycoproteinsFunctionMucinsLubricant and protective agentImmunoglobulins, histocompatibilityantigensImmunologic moleculeCollagensStructural moleculeCalnexin, calreticulinRegulate folding of proteins that are exported from the cellPlasma proteins of cold-water fishAntifreezeTransferrin, ceruloplasminTransport moleculeLectins, selectin (cell adhesion lectins), antibodiesInteract with specific carbohydratesNotch and its analogs, key proteins in developmentRegulation of differentiation and development